With MAO inhibitors, food not given is:
1. Cheese
2. Beer
3. Fish
4. All of the above

Correct answer: 4. All of the above

Explanation: Ref: KDT 6/e p440 Cheese, beer, wine, pickled meat, fish and yeast extract are rich in sympathomimetic amines. In MAO inhibited patients, these indirectly acting sympathomimetic amines are not degraded in the intestinal wall and liver and reach into systemic circulation where they cause release of large amount of norepinephrine from adrenergic nerve endings, thus precipitating hypertensive crises. It is known as cheese reaction.